OCP are contraindicated in?
1. Heart disease
2. Thromboembolism
3. Breast cancer
4. All of the above

Correct answer: 4. All of the above

Explanation: ANSWER: (D) All of the aboveREF: Leon spernoff 7th ed p. 906ABSOLUTE CONTRAINDICATIONS OF OCP:Known or suspected breast cancerSevere hypertriglyceridem ia/hyp ercholestrolemiaUndiagnosed vaginal bleedingThrombophlebitis/thromboembolism , cerebral and cardiac disordersPregnancyHypertension (moderate to severe)Impaired liverRELATIVE CONTRAINDICATIONS OF OCP:Migraine with auraDiabetes mellitus/gestational diabetesHypertensionSmokingUterine lieomyomaElective surgerySeizure disorderSickle cell diseaseGall bladder disease . SLEMitral valve prolapseHyperlipidemiaHepatic disease